Regarding severe combined immunodeficiency disease (SCID), which of the following statements is true?
1. Adenosine deaminase deficiency
2. Myeloperoxidase deficiency
3. NADPH oxidase deficiency
4. C1 esterase deficiency

Correct answer: 1. Adenosine deaminase deficiency

Explanation: Severe combined immunodeficiency (SCID) Represents a constellation of genetically distinct syndromes, all having in common defects in both humoral and cell-mediated immune responses. The most common form is X-linked (50% to 60% of cases) and hence SCID is more common in boys than in girls. The genetic defect in the X-linked form is a mutation in the common g-chain (gc) subunit of cytokine receptors. T-cell numbers are greatly reduced, and although B cells may be normal in number, antibody synthesis is impaired. The remaining cases of SCID are inherited as autosomal recessive. The most common cause of autosomal recessive SCID is a deficiency of the enzyme adenosine deaminase (ADA).There may be greater reduction in the number of T lymphocytes than of B lymphocytes.